Fusion of palpebral and bulbar conjunctiva is:
1. Symblepharon
2. Trichiasis
3. Ectropion
4. Tylosis

Correct answer: 1. Symblepharon

Explanation: Ans. Symblepharon